Swarming motility is shown by:
1. Proteus
2. Cholera
3. Shigella
4. Salmonella

Correct answer: 1. Proteus

Explanation: Ref: Ananthnaraycm R, Paniker CKJ. Textbook of Microbiology. 8th Edition. Hyderabad: Universities Press; 2009. Pg 280-1Explanation:OrganismCharacteristic motilityVibrioDarting motilityListeria monocytogenesTumbling motilityClostridium tetaniStately motilitySpirochaetesCork-screw motilityProteus and Clostridium tetaniSwarmingSalmonellaSluggishly motile with oeritrichous flaaellaShioellaNon-motileSwarming of ProteusProteus mirabilis and Proteus vulgaris swarm on solid culture media.Discrete colonies are seen in young cultures but thereafter actively motile cells spread on the surface of the plate in successive waves to form a thin filmy layer in eoneentrie circles.Several methods have been used to inhibit swarming:Increased (600) concentration of agarIncorporation of chloral hydrate (1:500), sodium azide (1:500), alcohol (5-6 %), sulphonamide, surface active agents or boric acid (1:1 000).Swarming does not occur on MacConkey's medium, on which smooth colourless colonies are formed.